Daily Iodine requirement during pregnancy is
1. 75mcg
2. 150mcg
3. 220mcg
4. 500mcg

Correct answer: 3. 220mcg

Explanation: Recommendation of the daily requirement of iodine during pregnancy is 220mcg and during lactation is 290mcg.(Ref: William's Obstetrics; 25th edition)